Hardly-weinberg law is related to-
1. Population genetics
2. Health economics
3. Social medicine
4. None of the above

Correct answer: 1. Population genetics

Explanation: Ans. is 'a' i.e., Population genetics Hardly-Weinberg law The hardly-weinherg law states that "The relative frequencies of each gene allele tends to remain constant from generation to generation". o Thus, the study of gene frequencies, and the influences which operate to alter the "gene pool" and their long term consequences is the central theme in population genetics.